Which one of the following drug is a second- generation antipsychotic/serotonin-dopamine antagonist/atypical antipsychotic?
1. Clozapine
2. Risperidone
3. Quetiapine
4. All of the above

Correct answer: 4. All of the above

Explanation: Ans. D. All of the aboveThe second-generation antipsychotics are a group of antipsychotic agents that were introduced into clinical psychiatry during the early 1990s. In the United States and most parts of the world, these agents are the most widely prescribed agents for schizophrenia and other illnesses associated with psychotic symptoms. Examples of second-generation antipsychotics are clozapine, risperidone, olanzapine, quetiapine, ziprasidone, and aripiprazole.